Delusion that nothing exists in this world is
1. Delusion of influence
2. Nihilistic delusion
3. Delusion of self reproach
4. Erotomania

Correct answer: 2. Nihilistic delusion

Explanation: Nihilistic delusion It is the delusion of hat nothing exists in the world, even he doesn't exist. This type of delusion may be seen in endogenous depression and bipolar disorder. Ref: FORENSIC MEDICINE ANad TOXICOLOGY Dr PC IGNATIUS THIRD EDITION PAGE 359